When do neutrophils appears in myocardial infarction?
1. Less than 4 hours
2. 4-12 hours
3. 12-24 hours
4. 1-3 days

Correct answer: 3. 12-24 hours

Explanation: Answer- C. 12-24 hours12-24 hr- Dark motting- In light microscopy, ongoing coagulative necrosis, marginal contraction band necrosis, beginning if neutrophilic infiltration.